The effect of morphine which has least tolerance is ?
1. Analgesis
2. Respiratory depression
3. Constipation
4. Bradycardia

Correct answer: 3. Constipation